Investigation of choice for marking out calcification of an intracranial lesion is:
1. CT Scan
2. MRI scan
3. USG
4. Contrast studies

Correct answer: 1. CT Scan

Explanation: Ans. A: CT Scan